If the birth weight of each of the 10 babies born in a hospital in a day is found to be 2.8kg, then the standard deviation of this sample will be:
1. 2.8
2. 0
3. 1
4. 0.28

Correct answer: 2. 0

Explanation: In the given question, the birth weight of each of the 10 babies born in a hospital in a day is Count, to ht 28 kg, thus = ZERO
So the standard deviation of this sample will be,